A 49-year-old man has his serum lipids measured. Which pattern suggests the lowest risk for CAD?
1. total cholesterol 215 mg/dL, high-density lipoprotein (HDL) cholesterol 28 mg/dL
2. total cholesterol 215 mg/dL, HDL cholesterol 43 mg/dL
3. total cholesterol 180 mg/dL, HDL cholesterol 29 mg/dL
4. total cholesterol 202 mg/dL, HDL cholesterol 45 mg/dL

Correct answer: 4. total cholesterol 202 mg/dL, HDL cholesterol 45 mg/dL

Explanation: This combination, although the total cholesterol is borderline, has high HDL cholesterol, which is protective. Nevertheless, a level this high would likely require treatment.